Halophilic vibrios are -a) V. choleraeb) V. vulnificusc) V. parhemolyticusd) V. mimicuse) V. alginolyticus
1. ab
2. bce
3. acd
4. ace

Correct answer: 2. bce